Warfarin induced skin necrosis is seen in:
1. Protein C deficiency
2. Sickle cell anemia
3. Factor V leiden deficiency
4. Antithrombin 3 deficiency

Correct answer: 1. Protein C deficiency

Explanation: It is due to decreased levels of protein C. It is more likely to occur in patients with genetic deficiency of protein C. Most common side effect of warfarin:Bleeding Dermal vascular necrosis is early appearing adverse effect. Due to decreased osteocalcin synthesis Warfarin causes nasal hypoplasia and therefore contraindicated in pregnancy